Nugent score includes all except -
1. Lactobacillus
2. Gardnerella
3. Mobiluncus
4. Gonococcus

Correct answer: 4. Gonococcus

Explanation: Ans. is 'd' i.e., Gonococcus Nugent's criteria for diagnosis of bacterial vaginosis* Many use Nugent's criteria to quantify or grade bacteria via Gram stain of vaginal samples.* In brief, Nugent's criteria evaluated 3 types of bacteria via Gram stain : Lactobacillus, Bacteroides/ Gardnerella, and Mobiluncus. They are each graded on a scale of 1-4 (1+ is < 1 cell per field, 2+ is 1-5 cells per field, 3+ is 6-30 cells per field, and 4+ is > 30 cells per field).* In this system, Lactobacillus and Bacteroides / Gardnerella are given scores between 0-4 but Mobiluncus is only graded from 0-2.* Total scores are then calculated and used as follows: 0-3 (Normal), 4-6 (intermediate bacterial count), and 7-10 (bacterial vaginosis).